All of the following statements about Hairy cell leukaemia are true except -
1. Splenomegaly is conspicuous
2. Results from an expansion of neoplastic T lymphocytes
3. Cells are positive for Tartarate Resistant Acid phosphatase
4. The cells express CD25 consistently

Correct answer: 2. Results from an expansion of neoplastic T lymphocytes